Which of the following is a normal cast in urine?
1. Granular
2. Hyaline
3. Waxy
4. Epithelial

Correct answer: 2. Hyaline

Explanation: Casts are cylindrical structures that form in the lumen of distal tubules and collecting duct.Hyaline casts are seen in normal individuals, but also seen in renal disease with other casts.Granular casts are seen in Acute tubular necrosis.Waxy casts are seen in Acute renal failure and chronic kidney disease.Fatty casts are seen in nephrotic syndrome.Epithelial casts are seen in Acute tubular necrosis.Ref: Harrison; 19th edition